The receptor through which M-tropic HIV strains bind-
1. CCR 5
2. CXR4
3. CXCR5
4. Any of the above

Correct answer: 1. CCR 5

Explanation: voteceptor CCR5 for macrophage tropical strain REF:MICROBIOLOGY ANANTHA NARAYANAN NINTH EDITION PAGE.574